In differentiating Glomerular proteinuria from Tubular proteinuria, Glomerular proteinuria is indicated by:
1. Proteinuria >3.0 - 3.5 g/day
2. Globulin > Albumin
3. Albumin to 132 microglobulin ratio of 100:1
4. Tomm Harsfall protein

Correct answer: 1. Proteinuria >3.0 - 3.5 g/day

Explanation: Answer is A (Proteinuria >3.0 - 3.5 g/day): Nephrotic range proteinuria (> 3.0 - 3.5 g/day) is characteristic of Glomerular proteinuria. Tomm Harsfall Protein in urine is a feature of tubular proteinuria Tomm Harsfall protein is synthesized in the tubular cells of ascending limb of loop of henle and distal tubule and is secreted into urine. Under conditions of tubulo interstitial injury (tubular proteinuria) increased Tomm Harsfall protein may be secreted in urine from injured tubular cells. Glomerular proteinuria is associated with an increase Albumin: 02 microglobulin, ratio usually > 1000:1 Feature Albumin: 132 microglobulin ratio Normal value Usually 50:1 to 200:1 Glomerular proteinuria Usually >1000 : 1 Tubular proteinuria Usually < 10:1 Glomerular proteinuria is associated with Albumin > Globulin